Commonest cause of convulsions in a child with Fever is ___________
1. Febrile convulsions
2. Meningitis
3. Epilepsy
4. Hypothyroidism

Correct answer: 1. Febrile convulsions

Explanation: Most commonly children with fever get convulsions and it is so called febrile convulsions. Febrile means feverish; any seizure or convulsion which is accompanied by fever is known as febrile seizure. The look of child during seizure seems life threatening (Child's whole body is shivering, shaking, twitching, eyes may roll up, there could be frothing from mouth and child may become unconscious) and it can be very frightening for parents. Reference: GHAI Essential pediatrics, 8th edition